Mondor's disease is:
1. Thrombophlebitis of the superficial veins of breast
2. Carcinoma of the breast
3. Premalignant condition of the breast
4. Filariasis of the breast

Correct answer: 1. Thrombophlebitis of the superficial veins of breast

Explanation: Mondor's disease is thrombophlebitis of the superficial veins of the breast and anterior chest wall, although it may also occur in the arm. Frequently involved veins: Lateral thoracic vein, thoracoepigastric vein, superficial epigastric vein. Benign, self-limited disorder. TREATMENT NSAIDs & application of warm compresses